"Phantom calyx/ Amputed calyx" on IVU is feature of
1. Tuberculosis
2. Hydronephrosis
3. Bilharziasis
4. UPJ obstruction

Correct answer: 1. Tuberculosis